Hormone-sensitive lipase is not activated by
1. Insulin
2. Glucagon
3. Catecholamines
4. T4

Correct answer: 1. Insulin

Explanation: Insulin
Hormone-sensitive lipase

Inhibited by:- Insulin by decreasing intracellular cAMP as well as decreasing synthesis.
Stimulated by


By increasing cAMP  → Catecholamines, glucagon
By increasing synthesis → Glucocorticoids, thyroid hormones, growth hormone, ACTH